Zero order kinetics occur in following drug with high dose
1. Phenytoin and theophylline
2. Digoxin and prapranol
3. Amiloride and probenecid
4. Lithum and thiophylline

Correct answer: 1. Phenytoin and theophylline

Explanation: Phenytoin and thiophylline follows zero order kinetics with high dose as it follow linear with time Ref -KDT 6/e p31,138